Mammography is performed in
1. First half of the menstrual cycle
2. Second half of the menstrual cycle
3. 3rd day
4. 5th day

Correct answer: 1. First half of the menstrual cycle

Explanation: Mammography is preferred in first of the menstrual cycle.
Usually two views are taken craniocaudal and mediolateral oblique.